H1 blockers are useful as:-
1. Antacids
2. Anti-allergic
3. Anti-asthmatics
4. Anti-migraine

Correct answer: 2. Anti-allergic